PIN number of oxygen is
1. 2,5
2. 3,5
3. 2,6
4. 3,6

Correct answer: 1. 2,5

Explanation: Ans: a (2,5 ) Ref: Ajay Yadov, 2nded, p. 22Pin index for gasesOxygen-2,5 Entonox(50%02 +50%N2O)-7Nitrous oxide-3,5 Carbondioxide(<7.5%)-2,6Cyclopropane-3,6 Carbondioxide(> 7.5%)-1,6Air-1,5 Nitrogen-1,4